Quadrivalent HPV vaccine protects against:
1. HPV 6.11,16.18
2. HPV 6, 11, 31. 32
3. HPV 16 18, 31.35
4. HPV 11, 16. 30. 33

Correct answer: 1. HPV 6.11,16.18

Explanation: Ans: A (HPV 6 11.16.18) Ref: Jawetz, Mchuck, & Adelherg's. Text hook of Medical Microbiology. 25th Edition. 2010.Explanation:Quadrivalent HPV vaccineIt is a noninfectious recombinant vaccine produced in yeast and containing virus-like particles composed of HPV LI proteins.The vaccine contains particles derived from HPV types 6, 11, 16, and 18.The vaccine is effective at preventing persistent infections by the four HPV types and the development of HPV-related genital precancer- ous lesions.It is not effective against established HPV disease.Adolescent and voung adult females make up the initial target population for vaccination.It is not known how long vaccine-induced immunity lasts.